After entering a radiolucent lesion in a 30 year old man, hollow cavity without epithelial lining is seen, the most probable diagnosis is
1. Aneurysmal bone cyst
2. Static bone cavity
3. Hemorrhagic bone cyst
4. Ameloblastoma

Correct answer: 3. Hemorrhagic bone cyst